Basal cell carcinoma occurs on
1. Skin and pilosebaceous adnexa
2. Skin and mucosa
3. Skin, lips and tongue
4. All of the above

Correct answer: 1. Skin and pilosebaceous adnexa